Low and fixed specific gravity of urine is seen in -
1. Diabetes mellitus
2. Diabetes insipidus
3. Chronic renal failure
4. Acute glomerulonephritis

Correct answer: 3. Chronic renal failure

Explanation: • Low and fixed specific gravity of urine is seen in chronic renal failure.